The components of Meig's syndrome is :
1. Fibroma of the ovary
2. Ascites
3. Hydrothorax
4. All of the above

Correct answer: 4. All of the above

Explanation: All of the above